Most common late post-op complication of cataract Surgery is
1. Retinal detachment
2. Ballous keratopathy
3. Posterior capsular opacification
4. Cystoid Macular edema

Correct answer: 3. Posterior capsular opacification

Explanation: Most common late post-op complication of cataract Surgery is posterior capsular opacification.